Which of the following does not increase neuromuscular blockade:
1. Clindamycin
2. Rucronium
3. Streptomycin
4. Erythromycin

Correct answer: 4. Erythromycin

Explanation: Erythromycin